Pain insensitive structure in brain is -
1. Falx cerebri
2. Dural sheath surrounding vascular sinuses
3. Middle meningeal artery
4. Choroid plexus

Correct answer: 4. Choroid plexus